Genodermal disease that can cause skin malignancy are
1. Xeroderma pogmentosa
2. Neurofibromatosis
3. Actinic keratosis
4. Porphyria cutanea tarda

Correct answer: 1. Xeroderma pogmentosa

Explanation: A i.e. Xeroderma pigmentosa